Selegiline is
1. Dopa decarboxylase inhibitor
2. MAO-B inhibitor
3. COMT inhibitor
4. MAO-A inhibitor

Correct answer: 2. MAO-B inhibitor

Explanation: (B) MAO-B inhibitor # Selegiline is a MAO-B inhibitor.> MAO exist in forms MAO-A & MAO-B.> MAO-A predominates in peripheral adrenergic structures & intestinal mucosa.> MAO-B predominates in brain & Blood platelets. Selegline, along c- levodopa, prolongs its action, & wearing-off effect.> Based on the theory that oxidation of DA or toxin MPTP in the striatum by MAO to free radicals is cause for parkinsonism early therapy c- selegiline night delay progression of disorders.> Non selective MAO inhibitors include: Phenelzinec/lsocarboxazide/Tranylcypromine.> Selective MAO-A are: Clorgiline/ Moclobemidee> Selective MAO-B are: Selegiline (Deprenyl), Rasagline, Periphery, BLood brain barrier